Earliest fetal anomaly to be detected by USG:
1. Hydrocephalus
2. Achndroplasia
3. Anencephaly
4. Spina bifida

Correct answer: 3. Anencephaly

Explanation: Ans. C i.e. Anencephaly